Dumping syndrome can occur after
1. Billroth-II operation
2. Heller's operation
3. Whipple's operation
4. Nissen fundoplication

Correct answer: 1. Billroth-II operation

Explanation: Billroth ii is an operation wherein the greater curvature of the stomach is attached to 1st part of jejunum in end to side anastomosis It occurs due to rapid delivery of osmotically active solid and liquid into jejunum due to alteration in the storage function of the stomach resulting in increased intestinal activity leading to diarrhoea and fall in blood volume. Reference SRB 5th edition page no.839